Middle finger extension test (Maudsley test) is done for
1. Medial epicondylitis
2. Carpal tunnel syndrome
3. Lateral Epicondylitis
4. Dequervain's disease

Correct answer: 3. Lateral Epicondylitis

Explanation: Middle finger extension test will cause the stretch of entire extensor tendon and so it is used for tennis elbow (Lateral epicondylitis)